Pink disease is seen due to
1. Internal resorption
2. Mercury poisoning
3. Arsenic poisoning
4. Trauma

Correct answer: 2. Mercury poisoning

Explanation: Pink disease (infantile acrodynia) was especially prevalent in the first half of the 20th century. Primarily attributed to exposure to mercury (Hg) commonly found in teething powders.